Which of the following is NOT included under the GOBI strategy advocated by UNICEF for child health?
1. Immunization
2. Using growth charts
3. Breast feeding
4. Inpatient care

Correct answer: 4. Inpatient care

Explanation: UNICEF promotes GOBI campaign for a child health revolution. It consists of: G: using growth charts for monitoring child development O: oral rehydration therapy to treat dehydration B: breastfeeding I: immunization Ref: Park, 21st edition, page: 856.